Which of the following is not an essential component of primary health care?
1. Provision of Essential Drugs
2. Cost effectiveness
3. Immunization against major infectious diseases
4. Health education

Correct answer: 2. Cost effectiveness

Explanation: Among the above given options, cost effectiveness is not included as an essential component of primary health care. Ref: Park's Textbook of Preventive and Social Medicine, 19th Edition, Pages 710, 740-741.